Most common complication of UC with IPAA:
1. Small bowel obstruction
2. Pouchitis
3. Pelvic sepsis
4. Leak

Correct answer: 2. Pouchitis

Explanation: Complications Pouchitis( 7-33%) Small bowel obstruction( upto to 27%) Pelvic sepsis Anastomotic & pouch suture line leaks Pouch- vaginal fistula